Earpiece type face bow: All are true, except:
1. Its an arbitrary type facebow
2. External auditory meatus is considered as reference point to determine centre of condylar rotation
3. It is difficult to manipulate
4. None of the above

Correct answer: 3. It is difficult to manipulate

Explanation: Earpiece type (ear bow): In this type, the external auditory meatus is considered as reference point to determine the centre of condylar rotation.
The condyles are located at an approximate distance in front of the meatus and this is compensated in the articulator, by mounting the facebow behind the condylar centre.
This type of facebow is easier to manipulate clinically.